Femoral nerve supplies all except ?
1. Pectineus
2. Sartorius
3. Vastus medialis
4. Obturator externus

Correct answer: 4. Obturator externus

Explanation: Branches of femoral nerve are :? From the main trunk :- Nerve supply to iliacus, nerve supply to pectineus and a few vascular branches. From anterior division :- Intermediate femoral cutaneous nerve (intermediate cutaneous nerve of thigh), medial femoral cutaneous nerve (medial cutaneous nerve of thigh) and muscular branch to sartorius. From posteior division :- Saphenous nerve, nerve supply to quadriceps femoris (rectus femoris, vastus medialis, vastus lateralis, vastus intermedius). Articular supply :- Hip joint is supplied by nerve to rectus femoris; knee joint is supplied by nerve to three vasti.